Ileal obstruction due to round worm obstruction treatment is
1. Resection with end to end anstomosis
2. Resection with side to side anastomosis
3. Enterotomy, removal of worms and primary closure
4. Diversion

Correct answer: 3. Enterotomy, removal of worms and primary closure

Explanation: If the bowel wall is healthy, enterotomy and removal of the worms may be performed Ref: Bailey & Love's Short Practice of Surgery,E25,Page-53